Which of the following is an orthopedic emergency?
1. Intraarticular fracture
2. Septic arthritis
3. Fracture lateral condyle humerus
4. Fracture neck femur

Correct answer: 2. Septic arthritis

Explanation: Ans. is 'b' i.e., Septic arthritis Timing of surgery Fracture surgery can be divided into emergency, urgency or elective. Emergency Emergency surgery is immediate for life and limb threatening problems. Examples are : - Fracture or dislocation with vascular injury. Fractures with compartment syndrome Irreducible dislocation or fracture dislocation of major joint. Compound (open) fractures Septic arthritis Spinal injuries with deteriorating neurological deficity. Urgency Urgent surgery is the surgery, which should be done early (within 12-36 hours), but after arranging proper surgical facilities, Important examples are : - Intra-articular fractures Fracture neck femur Fracture lateral condyle humerus in children. Displaced supracondylar fracture humerus in children. Elective Elective surgery is planned properly and can be done even after some delay (3-4 days to 3-4 weeks). Most of the surgeries in orthopaedics are elective. Example are : - Closed fracture long bone IT fracture Most of the ohroscopic procedures Arthroplasty